Blanket consent is consent taken:
1. When the patient comes to doctor for treatment
2. Orally when given during any procedure
3. Implied by gesture
4. At the time of admission to do any surgery

Correct answer: 4. At the time of admission to do any surgery

Explanation: Ans. At the time of admission to do any surgery